The percentage of hemoglobin saturated with oxygen will increase when which of the following occurs?
1. The arterial PCO2 is increased
2. The hemoglobin concentration is increased
3. The temperature is increased
4. The arterial PO2 is increased

Correct answer: 4. The arterial PO2 is increased

Explanation: The percentage of hemoglobin saturated with oxygen depends on the level of PO2 in the blood and on other factors that affect the position of the oxyhemoglobin dissociation curve. Factors that shift the curve to the left, such as a decrease in PCO2, an increase in pH, or a decrease in temperature, would increase the percentage of hemoglobin.Saturated with oxygen as would an increase in PO2, provided that the percentage of saturation was not already at 100%.At a given PO2, increasing the concentration of hemoglobin would not affect the percentage of saturation but would increase the oxygen content of the blood.